Abdominal compartment syndrome is characterized by the following except:
1. Hypercarbia and respiratory acidosis
2. Hypoxia due to increased peak inspiratory pressure
3. Hypotension due to decrease in venous return
4. Oliguria due to ureter obstruction

Correct answer: 4. Oliguria due to ureter obstruction

Explanation: ACS is characterized by a sudden increase in IAP, increased peak inspiratory pressure, decrease urinary output hypoxia, hypercapnia, & Hypotension secondary to decreased venous return to the heart.